All of the following statements about third Hea sound (S3) are true, except -
1. Occurs due to filling of the ventricles during atrial systole
2. Seen in mitral regurgitation
3. Seen in Atrial Septal Defect (ASD)
4. Seen in Ventricular Septal Defect (VSD)

Correct answer: 1. Occurs due to filling of the ventricles during atrial systole

Explanation: The third hea sound (S 3 ) occurs during the rapid filling phaseof ventricular diastole. It can be a normal finding in children,adolescents, and young adults; however, in older patients it signifieshea failure. A left-sided S 3 is a low-pitched sound best heard overthe left ventricular (LV) apex. A right-sided S 3 is usually betterheard over the lower left sternal border and becomes louder withinspiration. Harrison's principle of internal medicine,20th edition,pg no.1545